Meister cycle uses:
1. ALT
2. AST
3. GGT
4. Alkaline Phosphatase

Correct answer: 3. GGT

Explanation: Ans. C. GGTGamma Glutamyl Cycle (Meister cycle)